Change in the second base of erine codon (UCA) may result in UAA. This is an example of which type of mutation?
1. Missense
2. Silent
3. Nonsense
4. Frameshift

Correct answer: 3. Nonsense